Which of the following is X-linked recessive disorder?
1. Wiskott-Aldrich Syndrome
2. Rett Syndrome
3. Thalassemia
4. Alkaptonuria

Correct answer: 1. Wiskott-Aldrich Syndrome

Explanation: X-Linked Recessive Disorders: G6PD deficiency Duchenne Muscular dystrophy Colour blindness Fabry disease Chronic granulomatous disease Haemophilia A and B, Hunter disease Agammaglobulinemia Wiskott-Aldrich syndrome Albinism Lesch Nyhan Syndrome Ref: Nelson textbook of Pediatrics 21st edition Pgno: 645